A 35-year-old male vet presented with a 3 days history of swelling and discomfort in right axilla. On examination, enlarged, tender right axillary lymph nodes are found as shown. No other areas of lymphadenopathy is seen. USG of right axilla was done and is shown below. Several scratch marks are also present on right arm. Biopsy was planned and HPE findings are shown below. The organism responsible is also associated with which of the following conditions?
1. Oraya fever
2. Verruga peruana
3. Pontiac fever
4. Bacillary angiomatosis

Correct answer: 4. Bacillary angiomatosis

Explanation: USG shows axillary lymphadenopathy. HPE image shows angioproliferation and neutrophilic infiltrate. Occupation with close contact with animals, scratch marks on left arm with tender axillary lymphadenopathy on the same side point towards the diagnosis of Cat scratch fever which is caused by Bartonella henselae. Other condition caused by Bartonella henselae is Bacillary Angiomatosis. Oraya fever and Verruga peruana are caused by Bartonella bacilliformis. Pontiac fever is caused by Legionnella pneumophilla.